Dye used for direct immunofluorescence -
1. India ink
2. Nigrosin
3. Rhodamine
4. Basic fuschin

Correct answer: 3. Rhodamine

Explanation: Ans. is 'c' i.e., Rhodamine o Fluorescent microscopy helps to provide rapid diagnosis. o When certain dyes are exposed to ultraviolet light, they absorb energy and emit visible light, i.e. they fluoresce, o Tissue or organisms stained with such a dye and examined with U.V. light in a specially adapted microscope are seen as fluorescent objects. o The antibody can also be labeled by conjugation with a fluorescent dye and this fluorescent antibody is allowed to react with homologous antigen exposed at a cell surface - Direct immunofluorescence test, o The fluorescence dye used commonly are - # Auramine # Lissamine # Rhodamine # Fluoresceine isothiocyanate